A patient presented with gradually progressive painless mass since 10 years. It is firm to nodular & variable in consistency at each site. Most probable diagnosis is:-
1. Dermoid cyst
2. Sebaccous cyst
3. Pleomorphic adenoma
4. Malignancy

Correct answer: 3. Pleomorphic adenoma

Explanation: * The lesion is located at the angle of mandible - in front, below and behind the ear lobule which is the characteristic location of parotid tumour more specifically pleomorphic adenoma. * The usual location of dermoid cyst / teratoma is Ovary, Midline neck etc * Sebaceous cyst occurs in the following locations. 1. Back 2. Scalp - No punctum 3. Scrotum SS MC benign tumour of parotid gland: Pleomorphic adenoma